A school teacher gives consent for treating a child who becomes sick during a picnic away from home town. This type of consent is known as?
1. Paternalism
2. Loco Parentis
3. Vicarious liability
4. Novus Actus Interveniens

Correct answer: 2. Loco Parentis

Explanation: Loco Parentis: In an emergency involving children, when parents or guardians are not available, consent is taken from the person in charge of the child. Paternalism: Is an abuse of medical knowledge so as to distort the doctor-patient relationship in such a way that the patient is deprived of his autonomy, or his ability to make a rational choice. Vicarious liability (Liability for act of another): An employer is responsible not only for his own negligence but also for the negligence for his employees. Novus Actus Interveniens: A person is responsible not only for his actions, but also for the logical consequences of those actions. This principle applies to cases of assault and accidental injury. Ref: The Essentials of Forensic Medicine and Toxicology 29th Ed Page 45.